Right gastric artery is a branch of
1. A) Coeliac trunk
2. B) Hepatic artery
3. C) Gastroduodenal artery
4. D) splenic artery

Correct answer: 2. B) Hepatic artery

Explanation: The right gastric artery arise from the hepatic artery. Ref:-grays anatomy, pg num:-1116